Stress-induced hyperglycemia is due to:
1. Glucocorticoids
2. GH
3. Epinephrine
4. All

Correct answer: 4. All

Explanation: A i.e. Glucocorticoids; B i.e. GH; C i.e. Epinephrine